Which of the following is not commonly associated with non-bacterial thrombotic endocarditis (NBTE)?
1. SLE
2. IV drug abuse
3. APLA syndrome
4. Mucinous adenocarcinoma

Correct answer: 2. IV drug abuse

Explanation: Hypercoagulable states are the usual precursor to NBTE. These include APLA syndrome, SLE, chronic disseminated intravascular coagulation, hyperestrogenic states, and those associated with underlying malignancy, particularly mucinous adenocarcinomas. IV drug abuse is more commonly associated with infective endocarditis (IE); S. aureus being the major offender in IE among intravenous drug abusers.